Compound odontoma shows
1. Mixed tissue of dental origin with no resemblance to tooth structure
2. Numerous tooth like structure with denticles commonly found in maxillary lateral incisors
3. haphazardly arranged calcified mass
4. all of the above

Correct answer: 2. Numerous tooth like structure with denticles commonly found in maxillary lateral incisors